Hyperglycemia is caused by all EXCEPT :
1. Beta blockers
2. Steroids
3. Diuretics
4. Indomethacin

Correct answer: 4. Indomethacin